Which of the following is a DMARD?
1. Desferrioxamine
2. Penicillamine
3. Succimer
4. Dimercaprol

Correct answer: 2. Penicillamine

Explanation: Disease-modifying antirheumatic drugs- DMARDs used for Rh arthritis A.Nonbiological drugs1. Immunosuppressants: Methotrexate, Azathioprine, Cyclosporine2. Sulfasalazine3. ChloroquineorHydroxychloroquine4. Leflunomide B.Biological drugsTNF alpha inhibitors-etanercept, Infliximab IL 1 Antagonist: anakinra ESSENTIALS OF MEDICAL PHARMACOLOGY;7TH EDITION;KD TRIPATHI;PAGE NO 210